Posterior to sternum is
1. Left atrium
2. Left ventricle
3. Right atrium
4. Right ventricle

Correct answer: 4. Right ventricle

Explanation: Posterior to sternum is right ventricle . Ref - medscape.com